Dog leg field Radiotherapy is useful for
1. Lymphoma
2. Seminoma
3. Bronchogenic cancer
4. Cancer cervix

Correct answer: 2. Seminoma

Explanation: Modified Dog Leg field Superior border - Inferior border of the body of T11Inferior border - Superior border of the acetabulum Medial border - Tip of C/L transverse process of L5 towards the medial border of I/L obturator foramenLateral border - Line from the tip of the I/L transverse process of L5 to the superolateral border of I/L acetabulum